Epornithic is:
1. Epidemic outbreak among birds
2. Epidemic outbreak among fishes
3. Disease imported into a country from foreign country
4. Epidemic outbreak among animals

Correct answer: 1. Epidemic outbreak among birds

Explanation: EPORNITHIC: It is an outbreak (epidemic) of disease in a bird population. EPIZOOTIC: It is an epidemic of disease in an animal population (often with the implication that it may also affect human populations). Only a few zoonotic agents cause major epidemics. Examples are anthrax, brucellosis, rabies, influenza, Rift valley fever, Japanese encephalitis and equine encephalitis. ENZOOTIC: It is an endemic occurring in animals. Examples include anthrax, rabies, brucellosis, bovine tuberculosis, endemic typhus. Ref: Park 21st edition, page 89.